In severe injury, first to be maintained is ?
1. Hypotension
2. Dehydration
3. Airway
4. Cardiac status

Correct answer: 3. Airway

Explanation: Answer is 'c' i.e. Airway ABC is followed i.e. Airway Breathing then Circulation is evaluated in order.